CSF test is required in:
1. Morphine poisoning
2. Organophosphorous poisoning
3. Alcohol poisoning
4. Arsenic poisoning

Correct answer: 3. Alcohol poisoning

Explanation: Ans. C: Alcohol poisoning Structures preserved in poisoning of: Brain: opiates, organophosphorous, alkaloids, cyanide, strychnine, barbiturates anaesthetics etc Spinal cord: strychnine and gelsemium CSF: Alcohol Bone: Arsenic, antimony, thallium